Which response is not seen in newborns as a measure of thermogenesis?
1. Shivering
2. Breakdown of brown fat
3. Universal flexion
4. Cutaneous vasoconstrictions

Correct answer: 1. Shivering

Explanation: ANSWER: (A) ShiveringREF: O.P Ghai 6th ed p. 151,152"Newborn cannot produce heat by shivering"Mechanisms for thermogenesis in new born are mainly due to rapid increase in circulating catecholamines due to cold stressLipolysis and re-esterification of brown fatPeripheral vasoconstrictionIncrease heart rate